True statements about Pneumococcus are all except?
1. Pneumolysin a thiolactivated toxin, exerts a variety of effect on ciliary & PMN's
2. Autolysin may contribute to the pathogenesis of pneumococcal disease by lysing the bacteria
3. Anticapsular antibodies are serotype specific
4. The virulence of pneumococci is dependent only on the production of the capsular polysaccharide

Correct answer: 4. The virulence of pneumococci is dependent only on the production of the capsular polysaccharide

Explanation: Ans. is 'd' i.e., The virulence of pneumococci is dependent only on the production of the capsular polysaccharide . Pneumolysin is a thiol-activated toxin, exerts a variety of effects on ciliary cells and PMNs and also activates the classic complement pathway by direct binding of CI q. . Autolysin may contribute to the pathogenesis of pneumococcal disease by lysing bacteria. . Anti capsular antibody provides the best specific protection against pneumococcal infection i.e. anticapsular antibodies are serotype specific. . The virulence of Pneumococci is dependent not only on the production of the capsular polysaccharide but also on the production of pneumolysin, IgA, Protease. Remember ? . The most important antigen of the pneumococcus is the type specific capsular polysaccharide. . This polysaccharide is also called as 'specific soluble substance (S.S.S.)'. Pneumococci are classified into types based on the antigenic nature of the capsular polysaccharide. . Type 3 is most virulent. Quellung reaction - In the presence of homologous antiserum, the capsule becomes apparently swollen, sharply delineated and refractile.